Which of the following immunoglobulin mediates primary immune response
1. IgA
2. IgM
3. IgG
4. IgD

Correct answer: 2. IgM

Explanation: Ans. B: IgM The antibody formed in the primary response is predominantly IgM and in the secondary response IgG